Cyclosporine inhibits :
1. T lymphocyte proliferation
2. B lymphocyte proliferation
3. Both T and B lymphocyte proliferation
4. NI( cells only)

Correct answer: 1. T lymphocyte proliferation

Explanation: Cyclosporine profoundly and selectively inhibits 'T' lymphocyte proliferation, IL-2 and other cytokine production.